Largest cross - sectional area
1. Artery
2. Veins
3. Capillaries
4. Venules

Correct answer: 3. Capillaries

Explanation: Ans. (c) CapillariesRef: Ganong, 25th ed/p.568Vessel with,Maximum cross-sectional area - capillariesMinimum cross-sectional area - aortaMaximum blood flow velocity - aortaMinimum blood flow velocity - capillariesMaximum diameter - vena cavaMaximum % of blood stored - VeinsResistance vessels - arteriolesCapacitance vessels - veinsExchange vessels - capillariesWindkessel vessel - aortaFor temperature regulation - AV shuntsMaximum smooth muscle content - arterioles